Which of the following is true:
1. ExtraCellular Fluid is rich in organic anion
2. ECF is more than Intra Cellular Fluid
3. High sodium to potassium ratio is seen in ECF
4. ECF is potassium ion rich

Correct answer: 3. High sodium to potassium ratio is seen in ECF

Explanation: Ans. C: High sodium to potassium ratio is seen in ECFRemember:ICF is more abundant than ECFECF contains large amounts of sodium and chloride ionsICF contains large amount of potassium ions and phosphate ions